Laser used in LASIK?
1. Excimer
2. Argon
3. Holmium
4. Nd-Yag

Correct answer: 1. Excimer

Explanation: Ans. A. Excimer. (Ref. Parsons' diseases of Eye 21st/ pg. 76)In LASIK, the Excimer laser beam LASIK with the excimer laser is the most popular and widely accepted Rx modality for myopia among all the choice available today. Surgical correction is only undertaken in individuals 21 years of age and above who have a stable refractive error, who have had unsatisfactory results with non- surgical Rx, and in whom corneal thinning disorders that lead to curvature myopia such as keratoconus have ruled out.Laser-assisted in situ keratomileusis (LASIK) SurgeryRange of myopia possible complicationsAMethods to induce flattening of the central cornea1Radial keratotomy1 to 6 DPerforation, infection, surgically induced astigmatism, corneal scarring, late rupture with trivial trauma2Intracorneal rings or segments(ICR or INTACS)1 to 6 DUnpredictable results3Excimer laser photorefractive keratotomy (PRK)1 to 4 DDelayed visual recovery, faint corneal haze, glare and loss of contrast sensitivity4Excimer laser-assisted in situ keratomileusis (LASIK)2 to 12 DDry eye, infection, diffuse lamellar keratitis, interface debris and epithelial ingrowth, flap displacement, surgically induced astigmatism or aberrations, regression, iatrogenic thinning and ectasia, glare, difficulty with night driving and retinal detachment.5Excimer laser-assisted epithelial keratomileusis (LASEK)1 to 6 DSame as LASIK except there are no microtome-related complications6Femosecond laser-assisted LASIK2 to 12 DDiffuse lamellar keratitis, incomplete flap and interstitial corneal stromal haze are still potential problemsBMethods to reduce the overall refractory power of the eye1Clear lens extraction> 15 DRetinal detachment, endophthalmitis2Phakic intraocular lens5-22 DEndophthalmitis, cataract